Which of the following drugs reduces the activity of phospholipase A2?
1. Alprostadil
2. Aspirin
3. Ibuprofen
4. Prednisolone

Correct answer: 4. Prednisolone

Explanation: Prednisolone: It is a powerful anti-inflammatory agent. It acts by inhibiting the synthesis of PG, TX and LT the inhibition of phospholipase A2 enzyme. It is most important mechanism of anti-inflammatory action is the inhibition of chemotaxis.